In shot gun catridge, the gun powder is separated from pellets by a flat felt discussing called
1. Guage
2. Primer
3. Wad
4. Anvil

Correct answer: 3. Wad

Explanation: In shot gun catridge, the gun powder is separated from pallets by a flat felt discussing which is called Wad. The wad may be made up of paper or plastic. The wad acts like a piston driving the pellets in a bunch. Ref: FORENSIC MEDICINE AND TOXICOLOGY Dr PC IGNATIUS THIRD EDITION PAGE 139